HIV contains:
1. Integrase
2. RNA directed DNA polymerase
3. Ribonuclease
4. All of the above

Correct answer: 4. All of the above

Explanation: Ans. D i.e. All of the above HIV virus It is composed of two copies of positive single-stranded RNA that codes for the virus's nine genes enclosed by a conical capsid composed of 2,000 copies of the viral protein p24. The single-stranded RNA is tightly bound to nucleocapsid proteins, p7, and enzymes needed for the development of the virion such as reverse transcriptase, proteases, ribonuclease and integrase. A matrix composed of the viral protein p17 surrounds the capsid ensuring the integrity of the virion particle.